In which of the following location pus collects in Quinsy?
1. Peritonsillar space
2. Parapharyngeal space
3. Retropharyngeal space
4. Within the tonsil

Correct answer: 1. Peritonsillar space

Explanation: PERITONSILLAR ABSCESS (QUINSY)It is a collection of pus in the peritonsillar space which lies between the capsule of tonsil and the superior constrictor muscle.Peritonsillar abscess usually follows acute tonsillitis though it may arise de novo without previous history of sore throats.First, one of the tonsillar crypts, usually the crypta magna, gets infected and sealed off. It forms an intratonsillar abscess which then bursts through the tonsillar capsule to set up peritonsillitis and then an abscess.Dhingra 6e pg: 264